T wave in ECG indicates:
1. Atrial depolarisation
2. Ventricular depolarization
3. Atrial repolarisation
4. Ventricular repolarisation

Correct answer: 4. Ventricular repolarisation